Bacterial vaginosis is caused by all except
1. Gardnerella
2. Mobiluncus
3. Proteus
4. Coccobacillus

Correct answer: 3. Proteus

Explanation: Proteus does not cause Bacterial vaginosis Bacterial vaginosis MC Vaginitis Caused by Gardnerella vaginalis, Ureaplasma urealyticum, Mobiluncus species, Mycoplasma hominis, and Prevotella species. Gardnerella vaginalis is an example of Coccobacillus